Gland of Moll opens in/on the-
1. Skin
2. Hair follicle
3. Tarsal plate
4. Ducts of Meibomian glands

Correct answer: 2. Hair follicle

Explanation: Modified sweat glands opens into hair follicle or into the duct of Zies glands. Gands of Moll, also known as ciliary glands, are modified apocrine sweat glands that are found on the margin of the eyelid. They are next to the base of the eyelashes, and anterior to the Meibomian glandswithin the distal eyelid margin. ... Glands of Moll and Zeis secrete sebum that keeps lashes supple. Ref: Ak khurana 6th edition REF IMG